Elements of primary health care include all of the following except:
1. Adequate supply of safe water and basic sanitation
2. Prevention & control of local endemic diseases
3. Providing employment to every youth
4. Immunization against major infectious diseases

Correct answer: 3. Providing employment to every youth

Explanation: 8 essential ELEMENTS / components of primary health care (as outlined by the 'Alma - Ata declaration, 1978): E: Education concerning health problems and their control L: Locally endemic diseases prevention and control E: Essential drugs M: Maternal and child health care including family planning E: EPI (Immunization) against vaccine preventable diseases N: Nutrition and promoting proper food supply T: Treatment of common diseases and injuries S: Safe water supply and sanitation